Which of the following should be investigated in a 5year old baby?
1. Conjunctival hemorrhage
2. Buphthalmos
3. Erythema toxicum
4. Mongolian spots

Correct answer: 2. Buphthalmos

Explanation: Buphthalmos is not a normal finding in a newborn; it is suggestive of congenital glaucoma and should, therefore, be investigated. The Sclera and cornea are more elastic in early childhood and an increase in intraocular pressure (IOP), therefore, leads to an expansion of the globe and the development of Buphthalmos ('Ox-Eye'). Normal findings in a newborn: Erythema toxicum: Small white papules on an erythematous base, which are usually present on the face, trunk, and extremities. They contain eosinophils and may persist for a week. Conjunctival hemorrhage Mongolian Spots: Slate-blue, demarcated areas of pigmentation seen over the buttocks and back Pustular melanosis: Benign lesions seen predominantly in black neonates, contain neutrophils and is present at birth as vesiculopustular eruption around the chin, neck, back, extremities, palms and soles. Vaginal bleeding in the newborn at 2-3 days of age and enlargement and secretion of the breasts in both sexes Hymenal tags Physiological phimosis Ref: Nelson Textbook of pediatrics 21st edition Pgno: 868